Most common cause of abdominal aortic aneurysm is
1. Atherosclerosis
2. Trauma
3. Syphilis
4. Vasculities

Correct answer: 1. Atherosclerosis

Explanation: . Aortic wall contain smooth muscle cell matrix,elastin(in tunica media),collagen (in adventitia) as safe net in the wall to provide tensile strength prevent aneurysms formation.Elastin in tunica media is degraded and reduced significantly in infrarenal aorta in relation to collagen,abscence or less vasa vasorum in infrarenal aorta and atherosclerotic ubstability of the medial wall of aorta cause infrarenal aorta and more prone to develop aneurysms.Increased proteolytic matrix metalloproteinase(MMP) which is derived from aortic smooth muscle cells and macropgages cause elastin and collagen degradation and increase in the diameter of aneurysms. Refer; SRB's manual of Surgery page no:198.